Example of active transport -
1. Movement of water across cell membrane
2. Movement of oxygen across cell membrane
3. Cotransport of amino-acids with Na+
4. None of the above

Correct answer: 3. Cotransport of amino-acids with Na+

Explanation: Ans, is 'c' i.e., Cotransport of amino-acids with Na+ Transport mechanismExamplesSimple diffusionMovement of fats, oxygen, CO2 through lipid portion of membraneFacilitated diffusionMovement of glucose and some amino-acidsOsmosisMovement of water into and out of the cellPrimary active transportSecondary active transportIons K+, Na+ Ca++, H+Glucose or amino-acid into the cel] along Na+ (Symport or cotransport)Ca+2 H+ out of the cell against Na (Antiport or countertransport)